Rossetti modification of Nissen's fundoplication means:
1. Excludes the stomach wall in the wrap
2. Include only the posterior stomach wall in the wrap
3. Include only the anterior stomach wall in the wrap
4. Include both the anterior and the posterior stomach wall in the wrap

Correct answer: 3. Include only the anterior stomach wall in the wrap

Explanation: Nissen's Fundoplication left crus approach to a 360-degree wrap (Nissen Fundoplication) which is the procedure of choice for GERD Left crus approach: Direct and early view of the short gastric vessels and spleen. Rosetti and Hell modification of Nissen's modification Include only anterior stomach wall in the wrap The idea was to reduce dissection in the vicinity of vagus nerve Ref: www.ncbi.nlm.nih.gov/pubmed/8313128